Hyperfractioned radiotherapy is used in
1. Lung cancer
2. Melanomas
3. Soft tissue sacromas
4. All the above

Correct answer: 1. Lung cancer

Explanation: Hyperfractionation - Lung cancer.
Hypofractionation - Melanomas, Soft tissue sarcomas.